Reversible dementia is a feature of:-
1. Alzheimer;s disease
2. Pick's disease
3. Multiinfarct dementia
4. Hypothyroidism

Correct answer: 4. Hypothyroidism

Explanation: Reversible dementia causes- (1) Neurological conditions -Subdural hematoma, normal pressure hydrocephalus, intracranial tumors, intracranial abscess (2) Infectious cause - Meningitis, encephalitis, neurosyphilis, Lyme disease (3) Metabolic causes - Vitamin B 12 or folate deficiency, niacin deficiency, hyper and hypothyroidism, hyper and hypoparathyroidism (4) Others - Drugs, alcohol abuse , autoimmune encephalitis